Biopsy of the parotid gland in Sjogren's syndrome shows-
1. Lymphocytes
2. Neutrophils
3. Eosinophils
4. Basophils

Correct answer: 1. Lymphocytes

Explanation: Sjogren's SyndromeSjogren's syndrome is characterized by the triad of dry eyes (keratoconjunctivitis sicca), dry mouth (xerostomia), andrheumatoid arthritis. The combination of the former two symptoms is called sicca syndrome. The lesions in lacrimal and salivary glands are mediated byT lymphocytes, B cells, and plasma cells. MORPHOLOGIC FEATURES In the early stage, the lacrimal and salivary glands show periductal infiltration by lymphocytes and plasma cells, which at times may form lymphoid follicles (pseudolymphoma). In the late stage, glandular parenchyma is replaced by fat and fibrous tissue. The ducts are also fibrosed and hyalinised. HARSH MOHAN Textbook of pathology 6th edition pg no 81